A 60 year old male presents with a 2 day history of a severe left ear ache with a burning sensation in the ear and loss of taste. There is left sided weakness of both upper and lower facial muscles. Facial sensation is normal. A few vesicles are seen in the pharynx. What is the most likely diagnosis?
1. Bell's palsy
2. Acoustic neuroma
3. Diphtheria
4. Ramsay Hunt syndrome

Correct answer: 4. Ramsay Hunt syndrome